Most common cause of death in menke's disease is-
1. Cardiac rupture
2. Diaphragmatic paralysis
3. Laryngospasm
4. Cyano-methemoglobinemia

Correct answer: 1. Cardiac rupture

Explanation: Ans. is 'a' i.e., Cardiac rupture o Children with this disease often die within 5 years because of dissecting aneurysms or cardiac rupture.Menkes kinky hair syndromeo An X-1 inked metabolic disturbance of copper metabolism characterized by# Intellectual disability, hypocupremia, and decreased circulating ceruloplasmin.o Caused by mutations in the copper-transporting A TP7A gene.o Children with this disease often die within 5 years because of dissecting aneurysms or cardiac rupture.